Gout is NOT caused by which of the following?
1. Chlorthalidone
2. Sulfinpyrazone
3. Aspirin
4. Pyrazinamide

Correct answer: 2. Sulfinpyrazone

Explanation: Ans. is 'b' i.e., Sulfinpyrazone Sulfinpyrazone is a uricosuric drug which is used in the treatment of gout. Drugs causing hvperuricemia due to reduced uric acid excretion (Can cause gout) o Pyrazinamide o Diuretics o Alcohol o Nicotinic acid o Chlorthalidone o Ethambutol o Cyclosporine o Levodopa o Aspirin (Low dose)